If the coefficient of correlation between height and weight is 2.6, TRUE is -
1. Positive correlation
2. No association
3. Negative correlation
4. Calculation of the coefficient is wrong

Correct answer: 4. Calculation of the coefficient is wrong